Which of the following is vitamin K–dependent clotting factor?
1. Factor VII
2. Factor I
3. Factor XI
4. Factor XII

Correct answer: 1. Factor VII

Explanation: Vitamin K-dependent factors are clotting factor II (prothrombin), VII, IX, and X and anti-clotting factors protein C and protein S.